In congenital hypertrophic pyloric stenosis, the defect is in
1. Nerve fibres
2. Circular muscle fibres
3. Longitudinal muscle fibres
4. Mucosa

Correct answer: 2. Circular muscle fibres

Explanation: Infantile Hypertrophic Pyloric stenosis In HPS, hypertrophy of circular muscle of pylorus results in constriction & obstruction of gastric outlet Accquired condition Incidence of 1 in 3000 to 4000 live births This condition is most common between the ages of 3-6 weeks Associated anomalies in 6-20% cases : Esophageal atresia, Hirschprung's disease, ARM and malrotation Ref: Sabiston 20th edition Pgno : 1869